Fibrosis is due to ?
1. TGF beta
2. TNF alpha
3. IL 7
4. IL l0

Correct answer: 1. TGF beta

Explanation: Ans. is 'a' i.e., TGF beta